Counter coup injury seen in when ?
1. Moving head is suddenly decelerated
2. Stationery head is suddenly accelerated
3. Fall of heavy object on head
4. None of the above

Correct answer: 1. Moving head is suddenly decelerated

Explanation: Ans. is 'a' i.e., Moving head is suddenly decelerated Countrecoup injury is caused when moving head is suddenly decelerated by hitting a firm surface. It can either be a subdural or subarachnoid hemorrhage. Brain injuries Coup injury is defined as the injury of skull and/or brain at the site of impact, e.g. a blow on forehead, resulting in fracture of frontal bone and injury or haemorrhage in frontal lobe. Contre coup injury is defined as an injury to the skull or brain, on opposite (contralateral) side of the area of impact. Cerebral concussion (stunning) occurs due to head trauma and is characterized by gross physiological disturbance of brain without any anatomical damage. There is sudden loss of consciousness with a tendency to spontaneous recovery. The condition is more severe when damage is caused to the moving head (decceleration injury) than when it results from blows to skull. Recovery from concussion is often followed by retrograde amnesia.